Test for colour vision
1. Ishihara plates
2. Holmgren's wool test
3. City university test
4. All the above

Correct answer: 4. All the above

Explanation: Others
Edridge - Green lantern test.
Fans worth D 15 hue discrimination test.
Nagel's anomaloscope.
Hardy - Rand - Rittler plates.